Antibiotic potentiating the effect of NM blocker-
1. Erythromycin
2. Aminoglycoside
3. Co-trimoxazole
4. Nitrofurantoin

Correct answer: 2. Aminoglycoside

Explanation: Ans. is 'b' i.e., Aminoglycoside Important interactions of skeletal muscle relaxantso General anaesthetics potentiate competitive blockers in the following order : isoflurane (most), sevoflurane, desflurane, enflurane, Holothane and nitrous oxide (least)..o Anticholinesterase (neostigmine, pyridostigmine & edrophonium) reverse the action of competitive blockers, they can enhance depolarizing neuromuscular blockers.o Calcium channel blockers (verapamil) potentiate both competitive and depolarizing neuromuscular blockers.o Diuretics produce hypokalemia which enhances competitive block.o Diazepam, propranolol and quinidine intensify competitive block.o Aminoglycosides, tetracycline, polypeptide antibiotics, clindamycin and lincomycin can potentiate competitive block.o High doses of glucocorticoids reduce the effect of competitive blockers.